Eosinophilic granuloma results from the proliferation of
1. Histiocytes
2. eosinophils
3. Lymphocytes
4. fibroblast

Correct answer: 1. Histiocytes